Which of the following is commonest source of Extradural haemorrhage -
1. Middle meningeal artery
2. Subdural venous sinus
3. Charcot's artery
4. Middle cerebral artery

Correct answer: 1. Middle meningeal artery